Z score criteria applicable to
1. Chi-sqare test
2. skewed deviation
3. Normal distribution
4. Paired’t’ test

Correct answer: 3. Normal distribution